The tumor suppressor gene P53 induces cell arrest at-
1. G2 - M phase
2. S G2 phase
3. G1 - S phase
4. Go - phase

Correct answer: 3. G1 - S phase

Explanation: Harshmohan textbook of pathology 7th edition. In blocking mitotic activity p53 inhibits the cyclins and CDKs and prevent the cell to enter G1 phase transientally. This breaking time in the cell cycle is utilised by the cell to repair the DNA damage..